Which of the following is not a usual feature of right middle cerebral artery territory infarct:
1. Aphasia.
2. Hemiparesis
3. Facial weakenss
4. Dysarthria.

Correct answer: 1. Aphasia.

Explanation: Answer is A (Aphasia): Right middle cerebral artery supplies the right cerebral hemisphere which is the non dominant hemisphere. Aphasia is a feature of involvement of the dominant hemisphere (1Vernicke's area-Temporal lobe) of the dominant hemisphere. A lesion of the non dominant Wernieke's area does not lead to Aphasia.